Most common causative organism for ascending cholangitis is -
1. Streptococcus
2. Proteus
3. E. coli
4. Anaerobes

Correct answer: 3. E. coli